Inverted papilloma is characterized by all except -
1. Also called as schneiderian papilloma
2. Seen more often in females
3. Presents with epistaxis and nasal obstruction
4. Originates from lateral wall of nose

Correct answer: 2. Seen more often in females